What is wits analysis
1. Cephalonnetric analysis
2. Model analysis
3. Computer analysis
4. Space calculation analysis

Correct answer: 1. Cephalonnetric analysis